True regarding Felty's syndrome are all except:
1. Splenomegaly
2. Neutrophilia
3. Female preponderance
4. Associated with rheumatoid arthritis

Correct answer: 2. Neutrophilia

Explanation: Ans. B: Neutrophilia Felty syndrome is a potentially serious condition that is associated with rheumatoid arthritis. Felty syndrome affects 1-3% of all individuals with rheumatoid arthritis, and rheumatoid arthritis occurs in about 1% of the general population. In those diagnosed with the disorder, women outnumber men 3 to 1. Felty syndrome is most likely an autoimmune disorder. In Felty's syndrome triad of rheumatoid arthritis, splenomegaly and neutropenia is seen. Spleen produced antibodies reduces the neutrophil life span and hence splenectomy may increase the neutrophil count in Felty's syndrome. Risk factors for Felty syndrome include long-standing rheumatoid arthritis that is severe and high positive titer for rheumatoid factor.